Which of the following views is recommended for radiological examination of maxillary sinus -
1. Water's view
2. Caldwell view
3. Ferguson's view
4. Skyline view

Correct answer: 1. Water's view